Delta waves in EEG are 'seen in :
1. Deep sleep
2. REM sleep
3. Awake with eyes open
4. Awake with eyes closed

Correct answer: 1. Deep sleep

Explanation: A i.e. Deep sleep